A 15-year-old girl was admitted to the infectious disease hospital with a provisional diagnosis of rabies. What is the shape of this virus?
1. Brick shape
2. Icosahedral shape
3. Bullet shape
4. Rod shape

Correct answer: 3. Bullet shape

Explanation: Structure of Rabies Virus: Rabies virus is bullet-shaped 180 x 75 nm, with one end rounded or conical and the other planar or concave. Rabies is a RNA virus. Shapes of various Viruses: Rabies - Bullet Ebola virus - Filamentous Poxvirus - Brick Tobacco mosaic virus - Rod shaped Adeno & Picorna, Reo, Retrovirus - Icosahedral Orthomyxovirus- Spherical or Elongated Paramyxovirus - Pleomorphic Coronavirus - Pleomorphic